True about Reye's syndrome -
1. Microvesicular fatty infiltration
2. Hepatic encephalopathy
3. Brain edema
4. All

Correct answer: 4. All

Explanation: Ans. is All